Common drugs responsible for Lichenoid reaction is/are:
1. Antihypertensive.
2. NSAIDS.
3. Pencillamine.
4. All of the above.

Correct answer: 4. All of the above.

Explanation: Lichenoid reactions are drug induced and exhibit histopathological features similar to lichen planus. The common drugs implicated in oral lichenoid reactions are - antihypertensives, NSAIDS, pencillamine followed by dapsone, ketocanazole, streptomycin, sulfamethoxazole, tetracycline, chloroquine, and oral hypoglycemic agents, etc.